True statement about ezetimibe?
1. Cholesteryl ester transport protein inhibitor
2. PPAR alpha inhibitor
3. Inhibitor of NPCIL 1
4. Inhibitor of PPAR Gamma

Correct answer: 3. Inhibitor of NPCIL 1

Explanation: Ezetimibe is used in hyperlipidemias. Inhibits intestinal absorption of cholesterol by inhibiting NPCIL1 Ref: KD Tripathi 7th ed pg 641